All of the following are synthetic dressing in burn wound except
1. Opsite
2. Biobrane
3. Dacron
4. Integra

Correct answer: 3. Dacron

Explanation: Dacron is vascular graft material.